When a doctor shows gross absence of skill and care during treatment resulting in death of patient is called:
1. Criminal negligence
2. Malpractice
3. Maloccurence
4. Misadventure

Correct answer: 1. Criminal negligence

Explanation: Ref: The Essentials of Forensic Medicine and Toxicology by KS Narayan Reddy. 29th edition. 2010. Pg: 34Explanation:Criminal negligence: When a doctor shows gross absence of skill and care during treatment resulting in death of patient.Medical Negligence is considered to he criminal negligence if:a) When a doctor shows gross absence of skill or care during treatment resulting in serious injury to or death of a patientb) When a doctor performs an illegal actc ) When an assaulted person dies, the defense may attribute the death to the negligence or undue interference in the treatment of the deceased by the doctor.Section 304-A IPC deals with Criminal Negligence " Whosoever causes the death of any person by doing any rash or negligent act not amounting to culpable homicide shll be punished with imprisonment upto 2 years or with fine or with both".